True about Gastrochisis is ?
1. Herniation through umbilical cord
2. Herniation from right of umbilical cord from obliteration of right umbilical vein
3. Covered with amniotic sac
4. Associated with multiple anomalies

Correct answer: 2. Herniation from right of umbilical cord from obliteration of right umbilical vein

Explanation: .GASTROSCHISIS (Belly Cleft) * It is a defect of the anterior abdominal wall just lateral to the umbilicus. It is common in premature babies.* Umbilicus is normal. The defect is almost always to the right of an intact umbilical cord. Evisceration of the bowel occurs through the defect during intrauterine life. There is no peritoneal sac and the irritating effect of amniotic fluid causes chemical peritonitis with formation of a thick, oedematous membrane. * Non-rotation and intestinal atresia are common associations. Cardiac anomaly is not common as in omphalocele. * After delivery, these infants are more prone for fluid loss, hypothermia, hypovolaemia, sepsis, metabolic acidosis. * Necrotising enterocolitis is also common in such infants (20%). They are also more prone for paralytic ileus. ref:SRB's manual of surgery,ed 3,pg no 674